ALL of the following are true about trigeminal neuralgia
EXCEPT
1. it is unilateral
2. it is of throbbing nature
3. it is triggered by touching cheeks, mucosa etc
4. occurs in bouts

Correct answer: 2. it is of throbbing nature